All the following are associated with increased risk of coronary heart disease except
1. Familial hypercholesterolemia
2. Familial hypertriacylglycerolemia
3. Familial hyperalphalipoproteinemia
4. Hepatic lipase deficiency

Correct answer: 3. Familial hyperalphalipoproteinemia

Explanation: Name Defect Remarks Familial hyperalphalipoproteinemia Increased concentrations of HDL A rare condition apparently beneficial to health and longevity Hepatic lipase deficiency Deficiency of the enzyme leads to accumulation of large triacylglycerol-rich HDL and VLDL remnants Patients have xanthomas and coronary heart disease Familial hypercholesterolemia (type IIa) Defective LDL receptors or mutation in the ligand region of apo B-100 Elevated LDL levels and hypercholesterolemia, resulting in atherosclerosis and coronary disease Familial hypertriacylglycerolemia (type IV) Overproduction of VLDL often associated with glucose intolerance and hyperinsulinemia Cholesterol levels rise with the VLDL concentration. LDL and HDL tend to be subnormal. this type of pattern is commonly associated with coronary heart disease, type II diabetes mellitus, obesity, alcoholism, and administration of progestational hormones Reference: Harper; 30th edition; Page no: 275